All are seen in Pheochromocytoma EXCEPT
1. Headaches
2. Weight loss
3. Sweating attacks
4. Hypocalcemia

Correct answer: 4. Hypocalcemia

Explanation: Hypocalcemia REF: Harrison's Internal Medicine > Chapter 337 Pheochromocytoma Table 337-1 Repeat in December 2009 (surgery), December 2011 Pheochromocytomas and paragangliomas are catecholamine-producing tumors derived from the sympathetic or parasympathetic nervous system. These tumors may arise sporadically or be inherited as features of multiple endocrine neoplasia type 2. The "rule of tens" for pheochromocytomas states that about 10% are bilateral, 10% are extraadrenal, and 10% are malignant. However, these percentages are higher in the inherited syndromes. The clinical presentation is so variable that Pheochromocytoma has been termed "the great masquerader". The dominant sign is hypertension. Classically, patients have episodic hypertension, but sustained hypertension is also frequent. CLINICAL FEATURES ASSOCIATED WITH PHEOCHROMOCYTOMA Headaches Sweating attacks Palpitation and tachycardia Hypertension, sustained or paroxysmal Anxiety and panic attacks Pallor Nausea Abdominal pain Weakness Weight loss Paradoxical response to antihypertensive drugs Polyuria and polydipsia Constipation Orthostatic hypotension Dilated cardiomyopathy Erythrocytosis Elevated blood sugar Hypercalcemia